Myosin filament has a fixed length of:
1. 0.16 nm
2. 1.6 micron
3. 16 nm
4. 1.6 mm

Correct answer: 2. 1.6 micron

Explanation: The total length of each myosin filament is uniform, almost exactly 1.6 micrometers.